Junctional epithelium is attached to enamel by:
1. Reticular fibers
2. Desmosomes
3. Hemidesmosomes
4. Collagen

Correct answer: 3. Hemidesmosomes